A new born with a marked CHD with decreased pulmonary vascularity should be treated with?
1. Digoxin
2. Indomethacin
3. Prostaglandin E1
4. Epinephrine

Correct answer: 3. Prostaglandin E1